Child criteria doesnt include
1. Encephalopathy
2. ALT
3. Ascites
4. Albumin

Correct answer: 2. ALT

Explanation: Variables in Child-Turcotte-Pugh scoring system Serum albumin Bilirubin Prothrombin time Ascites Encephalopathy Ref: Sabiston 20th edition Pgno : 1436